Torrential bleed during tonsillectomy is due to -
1. Facial artery
2. Tonsilar artery
3. Paratonsillar vein
4. None

Correct answer: 3. Paratonsillar vein

Explanation: Ans. is 'c' i.e., Paratonsillar vein "Excessive bleeding at the time of operation usually arises because of trauma to an aberrant vessel or paratonsillar vein"Complications of tonsillectomyo Complications of tonsillectomy may beImmediateDelayedImmediate complicationsPrimary' haemorrhage : Occurs at the time of operation. It can be controlled by pressure, ligation or electrocoagulation of the bleeding vessels,Reactionary haemorrhage : Occurs within a period of 24 hours.Injury to tonsillar pillars, uvula, soft palate, tongue or superior constrictor muscle due to bad surgical technique.Injury to teeth.Aspiration of blood.Facial oedema : Some patients get oedema of the face particularly of the eyelids.Surgical emphysemaDalaved complicationsSecondary haemorrhage : Usually seen between the 5th to 10* post-operative day. It is the result of sepsis and premature separation of the membrane. Usually, it is heralded by bloodstained sputum but may be profuse.Infection : Infection of tonsillar fossa may lead to parapharyngeal abscess or otitis media.Lung complications : Aspiration of blood, mucus or tissue fragments may cause atelectasis or lung abscess.Scarring in soft palate and pillars.Tonsillar remnants : Tonsil tags or tissue, left due to inadequate surgery, may get repeatedly infected.Hypertrophy of lingual tonsil: This is a late complication and is compensatory to loss of palatine tonsils.